Sullage is -
1. Liquid excreta
2. By product of chemical industry
3. Waste wrater from kitchen
4. Waste water from an industry

Correct answer: 3. Waste wrater from kitchen

Explanation: Ans. is 'c' i.e., Waste water from kitchen o Sewage - Waste water from a community, containing solid and liquid excreta, derived from houses, street and yard wasting, factories and industries.o Sullage - Wast water which does not contain human excreta, e.g., waste water from kitchen and bathrooms.o Sludge - Semisolid residual material left from treatment of sewage or from industries.